Which one of the following preservative is used while packing catgut suture?
1. Isopropyl alcohol
2. Colloidal iodine
3. Glutaraldehyde
4. Hydrogen peroxide

Correct answer: 1. Isopropyl alcohol

Explanation: 10% isopropyl alcohol is the routine packing fluid used in packing catgut sutures. Catgut is available in glass tubes containing isopropyl alcohol and small quantity of water. Catgut is prepared from the intestine of sheep. Ref: Pharmaceutics By Dr. R. S. Gaud, Page 196; Veterinary Medicine/small animal clinician, Volume 72, Issues 1-6, Page 835.